Which gene is involved in pathogenesis of Type 1 Diabetes mellitus?
1. CTLA-4
2. ABCD1
3. HNF-1 Alpha
4. HNF-4 Alpha

Correct answer: 1. CTLA-4

Explanation: Polymorphism in promoter region of insulin gene, CTLA-4 contributes to susceptibility to type 1 Diabetes mellitus. The most common cause of type 1 diabetes mellitus is autoimmunity. Most patients have DR3 and/ or DR4 haplotype.